If the American Heart Association lowered the cut-off threshold for hypertension, which of the following effects would that have on the following properties of blood pressure assessment as a screening test?
1. The false negative rate will rise
2. The negative predictive value will rise
3. The positive predictive value will rise
4. The sensitivity will fall

Correct answer: 2. The negative predictive value will rise